The fastest moving fraction of protein in serum when subjected to paper electrophoresis is
1. Albumin
2. Alpha 1 Globulin
3. Beta Globulin
4. Gamma Globulin

Correct answer: 1. Albumin